Community health centres covering a population of -
1. 40-60,000
2. 60-80,000
3. 80-1,20,000
4. More than 1,20,000

Correct answer: 3. 80-1,20,000

Explanation: As on march 31st 2014 ,5363 community health centers were established by upgrading the primary health care covering a population of 80,000 to 1.20 lakh with 30 beds and specialist in surgery,medicine,obstetrics,gynaecology and paediatrics with x- ray and laboratory facilities (refer pgno:907 park 23 rd edition)